"Nut meg" liver is seen in:
1. CVC Liver
2. Liver infarction
3. Amyloidosis
4. Budd chiari syndrome

Correct answer: 1. CVC Liver

Explanation: CVC Liver